True about laryngomalacia -a) Most common cause of congenital stridorb) Inspiratory stridor normal on cryingc) Prone position worsens conditiond) 50% of patients requires surgerye) Omega shaped epiglottis
1. a
2. b
3. ab
4. ae

Correct answer: 4. ae